Myotonic dystrophy:
1. CTG trinucleotide repeats
2. Dystrophin 1
3. Dystrophin 2
4. CAG repeats

Correct answer: 1. CTG trinucleotide repeats

Explanation: Ans. A. CTG trinucleotide repeatsExplanationMyotonic dystrophy is an autosomal dominant multisystem disorder associated with skeletal muscle weakness, cataracts, endocrinopathy, and cardiomyopathy. The disease is caused by expansions of CTG triplet repeats in the 3'-noncoding region of the myotonic dystrophy protein kinase (DMPK) gene.